Chagas disease is caused by
1. Trypanosoma cruzi
2. Leishmania Donovani
3. Giardia Lamblia
4. Toxoplasma gondii

Correct answer: 1. Trypanosoma cruzi

Explanation: Trypanosoma cruzi causes Chagas diseaseThey are introduced when infected kissing bug feces are rubbed into conjunctiva, bite site or a break in the skin.Unilateral swelling of the eyelids (Romana's sign) is characteristic.Interstitial myocarditis is the most common serious condition.Invasion or toxic destruction of nerve plexuses in the alimentary tract wall leads to megaesophagus and megacolon (Brazilian Chagas disease)Jawetz 27e pg: 715